Most common complication of acute and chronic pancreatitis is
1. Portal vein thrombosis
2. Pancreatic abscess
3. Pseudocyst
4. Pancreatic head mass

Correct answer: 3. Pseudocyst

Explanation: .Complications of acute pancreatitis * Shock-hypovolaemic and septic * Respiratory failure and ARDS--Common in 7 days * Septicaemia--Common after 7 days * Hypocalcaemia * Disseminated intravascular coagulation (DIC) * Acute renal failure * Pancreatic pleural--effusion (left sided 20%) * Pancreatic pseudo aneurysm * Pancreatic ascites * Colonic stricture * Pseudocyst of pancreas * Chronic pancreatitis * Splenic vein thrombosis * Pancreatic abscess. ref:SRB'S manual of surgery,ed 5,pg no 618